With regard to sodium nitrite in CN toxicity:
1. Causes MetHb
2. Used to create more hydrocobalamin
3. Used to displace CN from Hb
4. Creates more sulfhydryl groups

Correct answer: 1. Causes MetHb